Microfilariae of the following parasites are found in blood except -
1. Brugia malayi
2. Loa Loa
3. Onchocerca volvulus
4. Wuchereria bancrofti

Correct answer: 3. Onchocerca volvulus

Explanation: produces onchocerciasis Adult worm may occur in subcutaneous nodules Nodules are painless (refer pgno:173 baveja 3 rd edition)